Absolute contraindication for endovenous abalation in varicose veins
1. Acute DVT
2. Varicose ulcer
3. Pregnancy
4. Chronic DVT

Correct answer: 1. Acute DVT

Explanation: An acute occlusive DVT is an absolute contraindication to endovenous thermal ablation, whereas a chronically recanalized deep venous system in the extremity to be treated is a relative contraindication. Care must be taken to ensure that superficial venous ablation will not compromise the venous outflow of the post-thrombotic limb.Ref: Sabiston 20e pg: 1866